Clopidogrel is an antiplatelet agent that acts by :
1. Reducing myocardial oxygen requirements during exertion and stress
2. Reducing myocardial oxygen requirements and by inducing coronary artery vasodilatation
3. Inhibiting ADP–induced platelet aggregation
4. None of the above

Correct answer: 3. Inhibiting ADP–induced platelet aggregation